Most common type of Hodgkin's lymphoma is:
1. Nodular sclerosis
2. Lymphocyte predominance
3. Mixed cellularity
4. Lymphocyte depletion

Correct answer: 1. Nodular sclerosis

Explanation: Answer is A (Nodular sclerosis) Nodular sclerosis is the ,:iost common subtype worldwide. The Hodgkin's lymphomas may be classified into four subtypes according to the Rye's classification. Hodgkins lymphoma subtypes in order of frequency Nodular sclerosis (30-60%) Mixed cellularity (20-40%) Lymphocyte predominance (< 10%) Lymphocyte depleted (< 10%) Incidence: NS > MC > LP > LD Note: WHO classification recognizes another subtype of Hodgkins called 'Lymphocyte Rich' subtype